Colonic Pseudo-obstruction occurs in all, except ?
1. Diabetes mellitus
2. Dermatomyositis
3. Scleroderma
4. Hyperthyroidism

Correct answer: 4. Hyperthyroidism

Explanation: Ans. is 'd' i.e., Hyperthyroidism Pseudoobstruction is seen in hypothyroidism, not hyperthyroidism.